Which of these is not a grevious injury?
1. Loss of teeth
2. Loss of hearing of one ear
3. Permanent disfiguration of face.
4. Abrasion on face.

Correct answer: 4. Abrasion on face.

Explanation: Abrasion on face Grevious injury Section 320 1PC defines following injuries as grevious injury: I. Emasculation (cutting of the penis, castration, or causing loss of power of erection due to spinal injury). 2. Permanent privation of the sight of either eye. 3. Permanent privation of the hearing of either ear. 4. Privation of any member (part, organ, limb) or joint. 5. Destruction of permanent impairing of powers of any member or. joint. 6. Permanent disfiguration of head or face. 7. Fracture or dislocation of a bone or a tooth. 8. Any hurt which endangers life, or which causes the sufferer to be, during the space of twenty days, in severe bodily pain, or unable to follow his daily routine. Section 319 IPC defines hurt as bodily pain, disease, or infirmity, caused to any person. Simple injury A simple injury is one which is neither extensive nor serious, and which would heal rapidly without leaving any permanent deformity or disfiguration.